For all of the following conditions Danazol is used, EXCEPT:
1. Endometriosis
2. Fibrocystic disease of the breast
3. Delayed puberty
4. Gynaecomastia

Correct answer: 3. Delayed puberty

Explanation: Danazol is not used in delayed puberty. It has weak progestational, androgenic, and glucocorticoid activities and is used to suppress ovarian function. Indications for using Danazol: Endometriosis Fibrocystic disease of the breast Gynaecomastia Hemophilia Christmas disease Idiopathic thrombocytopenic purpura Angioneurotic edema Migraine headaches Premenstrual syndrome Ref: Chrousos G.P. (2012). Chapter 40. The Gonadal Hormones & Inhibitors. In B.G. Katzung, S.B. Masters, A.J. Trevor (Eds), Basic & Clinical Pharmacology, 12e.